Disease imported in a country, which was not otherwise present?
1. Epornithic disease
2. Zoonotic disease
3. Exotic disease
4. Epizootic disease

Correct answer: 3. Exotic disease

Explanation: Ans. c (Exotic) (Ref. Park PSM 22nd/pg. 90)Exotic diseaseDisease imported in a country, which was not otherwise present.Epizootic disease# Disease affecting a large number of population at the same time within a particular region or geographic area.# Epizootic disease has the potential for very serious and rapid spread.# Epizootic diseases cause serious socio-economic or public health consequences and are of major importance in the international trade of animals and animal products.Epornithic disease# An epidemic in a population of birds.# A disease affecting a large number of animals simultaneously, corresponding to "epidemic" in humans.Zoonotic disease# A disease of animals that may be transmitted to man under natural conditions (e.g., Brucellosis, Rabies, -Plague, Ringworm, Lyme disease, Tuberculosis, Cat scratch, Tick paralysis, Hanta virus, etc).# Thus these are the infectious diseases that can be transmitted between (or shared by) animals & humans.